All are among the major criteria to diagnose Marfan syndrome, except
1. Ectopia lentis
2. Dilatation of the ascending aorta
3. Dural ectasia
4. Striae over the buttocks

Correct answer: 4. Striae over the buttocks

Explanation: The diagnosis of MFS according to the Ghent standards, the major criteria includes presence of at least four skeletal abnormalities, ectopia lentis, dilation of the ascending aorta with or without dissection, dural ectasia, and a blood relative who meets the same criteria, with or without a DNA diagnosis. Striae is not among the major criteria. Reference: Harrisons Principles of Internal Medicine, 18th Edition, Page 3213